Which of the folio wing is the least com mon bacteria responsible for Acute Exacerbation of Chronic Bronchitis -
1. Streptococcus pneumoniae
2. Moraxella catarrhalis
3. Haemophilus influenza
4. Staphylocccus aureus

Correct answer: 4. Staphylocccus aureus

Explanation: .Ans. is 'd' i.e., Staphylocccus aureus Most common bacterias associated with acute excerbation in COPDo Hemophilus influenzao Moraxella catarrhaliso Streptococcus pneumoniae